Which is/are true about Donovanosis:
1. Caused by Leshmania donovani
2. Amphotericin B is drug of choice
3. Sodium stibogluconate is drug of choice
4. Caused by Klebsiella granulomatosis

Correct answer: 4. Caused by Klebsiella granulomatosis

Explanation: Ans. (d) Caused by Klebsiella granulomatosis Donovanosis (or Granuloma inguinale) Veneral disease caused by Klebsiella granulomatis IP: 1-12 weeks Disease begins as a painless papule on genitalia which progress to auto inoculable ulcer and runs a chronic course Diagnosis is confirmed by demonstration of donovan bodies in Wright-Giemsa stained smears They may show bipolar condensation of chromatin, giving a closed safety pin appearance Treatment of choice is tetracycline